UMN lesion causes all EXCEPT
1. Spastic paralysis
2. Hyperactive stretch reflex
3. Babinski's sign positive
4. Muscle atrophy

Correct answer: 4. Muscle atrophy

Explanation: (Muscle atrophy) (862-CMDT-09) (148-H17th)EffectsUMN lesionsLMN lesionsMuscle toneHypertoniaHypotoniaParalysisSpastic typeFlaccid typeWastage of muscleNo wastage of muscleWastage of muscleSuperficial reflexesLostLostPlanter reflexesAbnormal-Babinski's signAbsentDeep reflexesExaggerated (Hyperactive stretch reflex)LostClonusPresentlost